Percolating of blood to the lateral aspect of head behind the ear is indicative of
1. Cullen's sign
2. Grey- Turner's sign
3. Raccoon's sign
4. Battle's sign

Correct answer: 4. Battle's sign

Explanation: Black eye( Raccoon's sign) in case of anterior cranial fossa fracture, extravasation of blood around the eye and in the periorbital tissue can be observed. It is due to percolation of blood to the periorbital tissue. This is called black eye. Battle's sign in case of middle cranial fossa fracture, there may be percolation of blood to the lateral aspect of head behind the dark which is called Battle's sign Cullen's sign Ectopic bruise around umbilicus in extraperitoneal or intra abdominal bleed or rupture ectopic pregnancy or acute pancreatitis. Grey -Turner's sign Ectopic bruise at flank in retroperitoneal hemorrhage. Ref: FORENSIC MEDICINE AND TOXICOLOGY Dr PC IGNATIUS THIRD EDITION PAGE 117